Cherry red spot is seen in which of the following:
1. Central retinal vein occlusion
2. Eales' disease
3. Retinitis pigmentosa
4. Central retinal artery occlusion

Correct answer: 4. Central retinal artery occlusion

Explanation: In certain disease conditions there is a round brilliantly white area in macula and in the center of which there is a cherry red circular spot at the fovea. This is known as CHERRY RED SPOT. It is found in following conditions: * Niemann Pick disease * Tay-Sachs disease (GM2 type I) * Central retinal artery obstruction (CRAO) * Spranger disease * Sandhoff variant (GM2 type II) * Generalized gangliosidosis (GM1 type I) * Metachromatic leukodystrophy (Sulfatide lipidosis) * Faber disease Maculo-cerebral familial degeneration or batten mayo favus disease is an autosomal recessive familial disease which presents with central scotoma, weak intellect, convulsions and spasticity. Cherry red spots never develop in this condition. On ophthalmological examination the discs are pale and vessels are small, yellowish grey spots and granular pigmentation may be present at macula. Pepper and salt type of pigmentation may be present in other parts of retina.